All of the following activities of Junior Red cross except -
1. Military hospital worker
2. Village uplift
3. Prevent epidemic work
4. Any of the above

Correct answer: 1. Military hospital worker

Explanation: It gives an opportunity to lakhs of boys and girls all over India to be associated with activities like the village uplift,first aid,anti epidemic work and building up of an international fraternity of youth thus promoting international friendliness understanding and cooperation (refer pgno:925 park 23rd edition)